Induction agent of choice in a child with cyanotic heart disease -
1. Thiopentone
2. Ketamine
3. Halothane
4. Midazolam

Correct answer: 2. Ketamine

Explanation: Ans. is 'b' i.e., Ketamine o In cyanotic heart disease (right to left shunt), systemic vascular resistance should be increased by anaesthetics - ketamine is the anaesthetic of choice.o In acyanotic heart disease (left to right shunt), systemic vascular resistance should be decreased - volatile anaesthetics (isoflurane, sevoflurane or desflurane) should be used.